Local anesthetic is not effective in an inflammed tissue because:
1. All impulses generated cannot be blocked
2. Myelin sheath is inflammed so it does not absorb the solution
3. pH is more acidic, so LA is ineffective
4. All of the above

Correct answer: 3. pH is more acidic, so LA is ineffective